Russel bodies are seen in
1. Lymphocytes
2. Monocytes
3. Macrophages
4. Plasma cells

Correct answer: 4. Plasma cells

Explanation: *Multiple myeloma is plasma cells disorder. These plasma cells may have intracytoplasmic inclusion called as Russel bodies and intranuclear inclusions called as Dutcher bodies.